Substrate level phosphorylation is seen in reaction catalyzed by which enzyme of citric acid cycle?
1. Pyruvate kinase
2. Succinate thiokinase
3. Phosphoglycerate kinase
4. All of the above

Correct answer: 2. Succinate thiokinase

Explanation: The reaction involves a substrate level phosphorylation whereby a high energy phosphate is generated from the energy trapped in the thioester bond of succinyl CoA. The enzyme is succinate thiokinase (step 5, Fig.18.2). A molecule of GDP is phosphorylated to GTP and succinate is formed. The GTP can be converted to ATP by reacting with an ADP molecule: GTP + ADP - GDP + ATPRef: DM Vasudevan, Page no: 218